Speed ball is -
1. Opioid + cocaine
2. Opioid + antihistaminic
3. Cocaine + alcohol
4. Cocaine + marijuana

Correct answer: 1. Opioid + cocaine

Explanation: Ans. is 'a' i.e., Opioid + cocaine o A combination of cocaine and heroin (opioid)taken by injection is called speed ball.